Which of the following arteries is most likely to be involved with serious atherosclerosis?
1. Right coronary artery.
2. Left coronary artery.
3. Anterior descending coronary artery.
4. Circumflex coronary artery.

Correct answer: 3. Anterior descending coronary artery.

Explanation: In order of frequency, the anterior descending coronary artery is the most commonly involved with atherosclerosis, followed by the right coronary, the circumflex, and the left main coronary artery.